Retinal holes are seen in which quadrant
1. Superior temporal
2. Inferior temporal
3. Superior nasal
4. Inferior nasal

Correct answer: 1. Superior temporal

Explanation: Retinal breaks are most frequently found in the periphery ( commonest in the upper temporal quadrant ) Ref : khurana 6 th edition , page no. 296